Soft friable extradural hematoma with honeycomb appearance seen in autopsy in cases of death due to?
1. Coagulopathy
2. Thermal injury
3. Post mortem trauma
4. None of the above

Correct answer: 2. Thermal injury

Explanation: Ans. is 'b' i.e., Thermal injury When the head is exposed to intense heat, sufficient to cause charring of the skull, heat hematomas occur. They have the appearance like extradural hemorrhage, but signs of injury blunt force do not accompany it. It consists of soft friable clot of light chocklate colour and may be pink, if blood contains CO. The clot has honeycombed appearance due to bubbles of steam produced by heat. Thickness - 11/2 to 15 mm and volume 120 ml. Thus the findings described in the question have typical appearance secondary to excess heat as seen in thermal injuries due to burns.